Parameters assessed prior to induction of labor are all EXCEPT:
1. Fetal gestational age
2. Fetal parts palpation
3. Fetal weight estimation
4. Ensure fetal presentation & lie

Correct answer: 2. Fetal parts palpation

Explanation: Ans. B i.e. Fetal parts palpation